All are the Complication of CVP line except:
1. Airway injury
2. Haemothroax
3. Air embolism
4. Septicemia

Correct answer: 1. Airway injury

Explanation: Ans: A (Airway injury) Complications of central venous pressure lineMechanical Vascular injury (arterial or venous) Cardiac tamponade Nerve injury Arrhythmias3Respiratory compromise (most common in subclavian line) Airway compression from hematoma PneumothoraxThromboembolic {least common in subclavian line) Venous thrombosis Pulmonary embolism Arterial thrombosis and embolism Catheter or guide wire embolism Air embolism Infectious (least common in subclavian line) Insertion site infection Catheter infection Bloodstream infection EndocarditisDelayed complications Venobronchial fistua Pseudoaneurysm Carotid artery-internal jugular vein fistula Aortoarterial fistula